Fallopian tube dysmotility is seen
1. Noonan syndrome
2. urner syndrome
3. Kartagener syndrome
4. Marfan syndrome

Correct answer: 3. Kartagener syndrome

Explanation: Kartagener syndrome

In males: autosomal,there is lossof ciliary function and sperm motility
in females:altered tubal motility